Hepatitis A virus is best diagnosed by
1. IgM antibodies in serum
2. Isolation from stool
3. Culture from blood
4. Isolation from bile

Correct answer: 1. IgM antibodies in serum

Explanation: Ans. is 'a' i.e., IgM antibodies in serum Lab diagnosis of HAV . "Detection of IgM - specific anti-HAV in the blood of an acutely infected patient confirms the diagnosis of hepatitis A" . IgM appears in acute phase, peaking about 2 weeks after elevation of liver enzymes and becomes undetectable within 3-6 months. . ELISA is the method of choice for measuring antibodies. Diagnosis can also be established by detection of virus in the stool from about 2 weeks prior to the onset of jaundice up to 2 weeks after. "But these tests for detection of HAV, are not widely available or useful in practice".